Neonatal MCV is:
1. 90-110 fL
2. 110-125 fL
3. 125-135 fL
4. 140-150 fL

Correct answer: 1. 90-110 fL

Explanation: a. 90-110fL(Ref: Nelson's 20/e p 2309-2312, Ghai 8/e p 330)Normal Red Cell Indices in Infancy and ChildhoodAgeMCV (fL) (mean)MCH (pg) (mean)MCHC (g/dL) (mean)Birth (cord blood)10834331 month10434331 - 2 years7827332 - 6 years8127346 - 12 years772934